The laser procedure, most often used for treating iris neovascularization is:
1. Goniophotocoagulation
2. Laser trabeculoplasty
3. Panretinal photocoagulation (PRP)
4. Laser iridoplasty

Correct answer: 3. Panretinal photocoagulation (PRP)

Explanation: C i.e. Panretinal photocoagulation (PRP)